All of the following statements regarding actinic keratosis are true, EXCEPT:
1. Increased incidence in people with light skin
2. Increased incidence in organ transplant recipients
3. Topical 5 fluorouracil can be used in treating the disease
4. Usually seen in young individuals

Correct answer: 4. Usually seen in young individuals

Explanation: Actinic keratoses is usually seen in elderly individuals. Risk factors for development of actinic keratoses are history of extensive sun exposure, fair skin and immunosupression. It is characterised by pink or grey irregular, rough macules or papules with dry adherent scales. Rarely it can get transformed into squamous cell carcinoma. Ref: Illustrated Synopsis of Dermatology and Sexually Transmitted Diseases By Neena Khanna 2nd edn page 305.